Which of the following is true regarding random error:
1. Systematic differences in characteristic between cases and control
2. Cases and controls are asked questions about their past history
3. Error in sampling
4. Different rates of admission in hospital

Correct answer: 3. Error in sampling

Explanation: sampling error Berkesonian bias is a special example of bias. It is named after Dr. Joseph Berkson who recognized this problem. The bias arises because of the different rates of admission to hospitals for people with different diseases (hospital cases and controls). Recal bias: differential recall ability between the cases and the controls Neyman bias: differential mortality between groups, which is not accounted for.